One of the following is not a requirement of an ideal denture cleanser:
1. Should be difficult to separate from denture fit surface
2. Should dissolve all denture deposits
3. Exhibit bactericidal effect
4. Non-toxic

Correct answer: 1. Should be difficult to separate from denture fit surface

Explanation: Ideal requirements of denture cleanser:

Non-toxic
Easy to remove and should be harmless to patient.
Harmless to the denture base materials and denture teeth.
Able to dissolve all denture deposits such as calculus.
Exhibit bactericidal and fungicidal activity.